Abnormalities of copper metabolism are implicated in the pathogenesis of all the following except
1. Wilson's disease
2. Menkes Kinky-hair syndrome
3. Indian childhood cirrhosis
4. Keshan disease

Correct answer: 4. Keshan disease

Explanation: Deficiency of selenium and molybdenum has resulted in Keshan disease. Ref: Page 131 & 132, Ghai essential pediatrics; 6th edition